The biochemical role of vitamin K in the post translational modification of clotting factors is by :
1. Glycosylation
2. Carboxylation
3. Acetylation
4. Phosphorylation

Correct answer: 2. Carboxylation